Best tubal function test is-
1. Laproscopy
2. Hysterosalpingography
3. Rubin's test
4. X - ray pelvis

Correct answer: 1. Laproscopy

Explanation: Laproscopy